Which of the following lies lateral to sheath of femoral hernia?
1. Femoral artery
2. lateral cutaneous nerve of thigh
3. Femoral vein
4. Femoral nerve

Correct answer: 3. Femoral vein

Explanation: Femoral vein lies lateral to sheath of femoral hernia.Femoral sheath - funnel shaped sleeve of fascia enclosing upper 3-4 cm of femoral vessels. The sheath is divided into three compartments by septa- Lateral compartment - femoral artery and femoral branch of genitofemoral nerve Intermediate compartment- femoral vein Medial compartment - Also known as Femoral canal - Contains lymph node of Cloquet Femoral hernia - The femoral canal is an area of potential weakness in the abdominal wall through which abdominal contents may bulge out forming a femoral hernia. It is more common in females. So lateral to femoral canal lies femoral vein.